"Nuisance mosquito" is-
1. Anopheles
2. Culex
3. Tsetse fly
4. None

Correct answer: 2. Culex

Explanation: Ans. is 'b' i.e., Culex